Treatment of advanced proliferative diabetic retinopathy with extensive vitreoretinal fibrosis andtractional retinal detachment involves all of the following except -
1. Reattachment of detached or tom retina
2. Removal of epiretinal membrane
3. Vitrectomy
4. Exophotocoagulation

Correct answer: 4. Exophotocoagulation

Explanation: Surgical treatment : Advanced PDR with dense Vitreous haemorrhage. PPV (Pars Plana Vitrectomy) along with removal of opaque vitreous gel and endophotocoagulation should be done at an early stage. Advanced PDR with extensive fibrovascular epiretinal membrane should be treated by PPV along with removal of fibrovascular epiretinal membrane and endophotocoagulation. Advanced PDR with tractional retinal detachment should be treated by PPV with endophotocoagulation and reattachment of detached retina along with other methods like scleral buckling and internal tamponade usong intravitreal silicone oil or gases like sulphur hexafluoride or perfluoropropane. Ref;A.K.Khurana; 6th edition; Page no: 282